Emphysema aquosum is seen in:
1. Wet drowning
2. Dry drowning
3. Immersion syndrome
4. Secondary drowning

Correct answer: 1. Wet drowning

Explanation: - Emphysema aquosum is seen in wet (typical) drowningQ where drowning fluid causes alveolar wall disruption & enters tissue & blood vessels. If dead body is thrown into water, due to hydrostatic pressure water passes into lungs known as hydrostatic lung. Oedema aquosum (no columns of froth) is seen in drowning of unconscious. - ARDS & Fibrosing alveolitis is seen in near drowning or secondary drowning syndrome. - Dry Lung is seen in dry drowning in which death occurs due to laryngeal spasm. - If drowning is survived, the event is referred to as near drowning & complications as near (secondary) drowning syndrome. Ref ; Narayana reddy 33rd ed.